Thyroid gland is stimulated by which hormone during pregnancy ?
1. Prolactin
2. HCG
3. Human placental lactogen
4. ACTH

Correct answer: 2. HCG

Explanation: Ans. is 'b' i.e., HCGThe endocrine system undergoes noteworthy changes during pregnancy.The pituitary, thyroid and parathyroid glands appear enlarged.The enlargement of thyroid gland occurs under the influence of hCGs pituitary thyrotropin (TSH) and human chorionic thyrotropin from placenta. This results in an increase in thyroxine which stimulates metabolic activity in mother and fetus.Increased parathyroid hormone stimulates liberation of calcium ion from maternal bones for fetal use.Increased output of ACTH from pituitary stimulates secretion of :-Glucocorticoids : It mobilizes amino acids for protein synthesis in fetal tissues.Aldosterone : Promotes fluid retention in pregnancy.